Which of the following alpha-blocker drug is used in BPH without producing hypotension?
1. Doxazosin
2. Phentolamine
3. Tamsulosin
4. Terazosin

Correct answer: 3. Tamsulosin

Explanation: Ans. C. Tamsulosina. Tamsulosin, Silodosinb. Higher affinity for a1A/1D receptors (found on prostate smooth muscle) than for a1B subtype (found on vascular smooth muscle)c. Minimal effect on blood pressured. High oral bioavailabilitye. Silodosin is a newer a1A blocker used in BPH.